A child suffered through trauma and had to undergo splenectomy for splenic injury and blood loss. The further management includes all of the following EXCEPT
1. Continuous penicillin treatment
2. Continue aspirin to prevent coagulation
3. The parents are advised of the possible complica:ions the child is prone for
4. Repeated evaluation for potential complications

Correct answer: 2. Continue aspirin to prevent coagulation

Explanation: (B) Continue aspirin to prevent coagulation # Splenectomised patients are at increased risk of septicemia due to Streptococcus pneumoniae, Neisseria meningitidis, Haemophilus influenzae & Bahesia microti.> The risk becomes even greater in Splenectomised patients treated with cytotoxic chemotherapy or radiation, & in patients who have undergone splenectomy for thalassacmia, sickle cell disease, & autoimmune anaemia or thrombocytopenia> Vaccination to be done in elective splenectomized patients> Before the age of 5 yrs should be treated with daily dose of penicillin until the age of 10 yrs> Satisfactory prophylaxis can be obtained by penicillin , erythromycin , amoxycillin , co-amoxiclav.> Suspected infections can be treated with same antibiotics & cefotaxime, cefitriaxone, or chloramphenicol